Decreased level of testosterone results in all EXCEPT:
1. Loss of libido
2. Infertility
3. Decreased frequency of sexual intercourse
4. Increased muscle mass

Correct answer: 4. Increased muscle mass

Explanation: Ans. D i.e. Increased muscle mass